Drug Not used in pulmonary hypertension
1. Calcium channel blocker
2. Endothelin receptor antagonist
3. Alpha blocker
4. Prostacyclin

Correct answer: 3. Alpha blocker